Thymus has
1. Interstitial dendritic cells
2. Interdigitating dendritic Cells
3. Circulating dendritic cells
4. Follicular dendritic cells

Correct answer: 2. Interdigitating dendritic Cells

Explanation: Interstitial dendritic cells - Lungs, liver, spleen
Interdigitating dendritic cells - Thymus
Circulating dendritic cells - Blood & lymph
Follicular dendritic cells - Lymph nodes.